Proteus infection leads to
1. Struvite stones
2. Uric acid stones
3. Pigment stones
4. Calcium/Cholestrol stones

Correct answer: 1. Struvite stones

Explanation: (A) Struvite stones # Struvite stones are infectious stones composed of magnesium ammonium phosphate.> Struvite stones are common stones seen in SCI population, and they are caused by ureage producing bacteria.> Most common are Proteins, Psuedomonas, klebsiella, peosidentia, E.coli, Staphylococcus epidermidis, and ureaplasma urease catalyses break down of urea and water to ammonium and bicarbonate. The bicarbonate produces alkaline urine having a pH level greater than 7.2.> Alkaline urine facilitates the precipitation and crystailzation of magnesium ammonium phosphate , calcium carbonate, calcium phosphate.